All are causes of hyperprolactinemia, except -
1. Bromocriptine
2. Phenothiazine
3. M ethyldopa
4. Metoclopramide

Correct answer: 1. Bromocriptine

Explanation: Ans. is 'a' i.e., Bromocriptine Causes of Hyper-prolactinemiaEtiology of HyperprolactinemiaI. Physiologic hypersecretionA PregnancyB LactationC Chest wall stimulationD. SleepE StressII. Pitnitary hypersecretionProlactinomaAcromegalyIII. Systemic disordersA Chronic renal failureB HypothyroidismC CirrhosisD PseudocyesisE Epileptic seizuresIV Drug-induced hypersecretionRefer table belowV Hypothalamic-pituitary stalk damageTumors# Craniopharyngioma# Suprasellar pituitary mass extension# Meningioma# Dysgerminoma# MetastasesEmpty sellaG Lymphocytic hypophysitisD. Adenoma with stalk compressionE GranulomasF. Rathke's cystG IrradiationH. Trauma# Pituitary stalk section# Suprasellar surgeryDrugs causing Hvper-prolactinemia include:o Dopamine receptor antagonistso Phenothiazine, chlorpromazine, periphenazineo Butyrophenones: haloperidolo Thioxantheneso Metoclopromideo Resperidoneo Sulprideo Dopamine synthesis inhibitors : a-Meihyldopao Catecholamine depletors: Reserpineo Opiateso H2 antagonissts : Cimetidine, ranitidineo Imipramines'.Amitriptyline, amoxapineo Serotonin-reuptake inhibitors: Fluoxetineo Calcium channel blockers: Verapamil